"Snail track ulcers" are seen in
1. Primary syphilis
2. Secondary syphilis
3. Tertiary syphilis
4. Latent syphilis

Correct answer: 2. Secondary syphilis